Cogan's syndrome is -
1. U/L deafness, albinism, degeneration of organ of corti
2. U/L deafness, keratitis, vertigo
3. Ophthalmoplegia, epistaxis, vertigo
4. Ophthalmoplegia, Dizziness, Retinal detachment

Correct answer: 2. U/L deafness, keratitis, vertigo

Explanation: (U/L deafness, keratitis, vertigo) (799-2880,2805-H18th)Cogan's syndrome* Characterized by interstitial keratitis together with vestibulo-auditory symptoms.* Recent study suggests - Autoimmune in nature.* It may be associated with a systemic vasculitis, particularly aortitis with involvement of the aortic valve.* Glucocorticoids are the mainstay of treatment.* Initiation of treatment as early as possible after the onset of hearing loss improves the likehood of a favourable outcome.* It can lead to deafness or blindness if untreated.Symptoms of Cogan's Syndrome (Internet)* Red painful light sensitive eye or blurred vision.* Hearing loss, which may become profound and permanent.* Vertigo (A sensation of the room spinning, may be called dizziness).* Poor balance.* Nausea, vomiting.* Fever, fatigue, weight loss.More ready, can cause enlarged lymph node, rash, chest pain, arm pain and shortness of breath.